In which of the following conditions polyostotic lesions are not seen
1. Hemangioma
2. Osteoid osteoma
3. Fibrous dysplasia
4. Multiple myeloma

Correct answer: 2. Osteoid osteoma

Explanation: Multiple tumors are Fibrous dysplasia GCT Osteochondroma Enchondroma Hemangioma Multiple myeloma Refer clinical imaging by Denis Marchiori 1112p